In a patient with mild ulcerative colitis, mainstay of treatment is
1. 5-ASA agents
2. Glucocorticoids
3. Azathioprine
4. Antibiotics

Correct answer: 1. 5-ASA agents

Explanation: The mainstay of therapy for mild to moderate UC is sulfasalazine and the other 5-ASA agents.The majority of patients with moderate to severe UC benefit from oral or parenteral glucocorticoids.Azathioprine and 6-mercaptopurine (6-MP) are purine analogues commonly employed in the management of glucocorticoid-dependent IBD. Antibiotics have no role in the treatment of active or quiescent UC.Metronidazole is effective in active inflammatory, fistulous, and perianal CD and may prevent recurrence after ileal resection.Ref: Harrison 19e pg: 1960